The best investigation to diagnose a case of acoustic neuroma is –
1. Gadolinium enhanced MRI
2. CT scan
3. Audiometric analysis
4. PET scan

Correct answer: 1. Gadolinium enhanced MRI